The day after playing in the high grasses of a neighbour's fields, an 8 year old boy develops a weeping, vesicular, erythematous, and itchy rash on his arms, legs, and neck. Which of the following best describes this inflammatory response?
1. Erythema nodosum
2. Pemphigus
3. Psoriasis
4. Spongiotic dermatitis

Correct answer: 4. Spongiotic dermatitis

Explanation: Spongiotic dermatitis is seen in cases of contact dermatitis, such as poison ivy exposure. The accumulation of inflammatory cells in the superficial dermis causes marked edema, which splays epidermal keratinocytes apart and giving a spongy appearance to intercellular bridges. Grossly, the skin has a weepy appearance with frequent blistering. Erythema nodosum is a form of panniculitis, which is chronic inflammation in the subcutaneous fat lobules. Erythema nodosum presents as painful erythematous nodules, often with fever and malaise. It is associated with infections and drug reactions, and is not a contact dermatitis. Pemphigus is a genetic blistering disorder due to the production of antibodies to the intercellular cement substances in skin and mucous membranes. Psoriasis is a common chronic inflammatory disease causing plaques and scales, typically on elbows, knees, and scalp. The pathogenesis of psoriasis is still unclear; it may be a complement-mediated autoimmune process. Ref: McCalmont T.H. (2010). Chapter 8. Diseases of the Skin. In S.J. McPhee, G.D. Hammer (Eds), Pathophysiology of Disease, 6e.